Spinal Anesthesia should be injected into the space between:
1. T12–L1
2. L3–L4
3. L1– L2
4. L5–S1

Correct answer: 2. L3–L4

Explanation: The LA is injected in the sub arachnoid space between L2-L3 or L3-L4.
 
Spinal cord extends from medulla oblongata to lower border of L, in adult.
 
Spinal; cord extends from medulla oblongata to lower border of L3 in infant & neonate., (adult level achieved at 2 years of age)
 
In infancy spinal; anesthesia given at L4-L5. Level
 
In adult spinal anaesthesia given at L3-L4 OR L4rL5 space, (even at L2~L3)
 
In. adult usually spinal anesthesia given at l3-l4 level Remember structures encountered during spinal anesthesia
 
1-skin, 2-subcutaneous tissue, 3-supraspinous ligament, 4-lnterspinous ligament, 5-ltgament flavum, 6-dura, 7-arachnoid.